The testis descends the inguinal canal during...month.
1. 5th
2. 6th
3. 7th
4. 8th

Correct answer: 3. 7th

Explanation: C i.e. 7th